Cycle which is absent in humans is
1. Menstrual cycle
2. Ovarian cycle
3. Hormonal cycle
4. Estrous cycle

Correct answer: 4. Estrous cycle